Teen pregnancy rate as per NFHS 3 is:
1. 15%
2. 10%
3. 5%
4. <1%

Correct answer: 1. 15%

Explanation: Teen pregnancy 16% Total fertility rate 2.7 Birth order 4 & above 28% Contraceptive prevalence 56% Ref: National Health Programmes in India, J.Kishore, 10th edition pg: 44